A pulp polyp may arise in connection with:
1. Chronic open pulpitis
2. Pulp necrosis
3. Acute pulpitis
4. Chronic Periapical lesion

Correct answer: 1. Chronic open pulpitis